Mech of action of bevacizumab
1. Inhibitor of HER-2/Neu
2. Inhibitor of VEGF
3. Inhibitor of c-kit
4. None of the above

Correct answer: 2. Inhibitor of VEGF

Explanation: Bevacizumab:- Mech of action:- It is a humanized monoclonal antibody that binds VEGF-A and hinders its access to the VEGF receptor, interrupting angiogenic signalling. Uses:- combined with 5-FU, bevacizumab is used in metastatic colorectal cancer. Added to conventional chemotherapy, it improves survival in metastatic non-small cell lung cancer, breast cancer, clear cell renal carcinoma and glioblastoma. Deafness due to neurofibromatosis can be reversed by growth inhibitory effect of bevacizumab. Ref:- kd tripathi; pg num:-871